A 25 year old Female presents with endometriosis on diagnostic imaging, the ovarian cyst is found to be 5 cm. What is your treatment approach
1. Laparoscopic drainage
2. Laparoscopic cystectomy
3. Laparoscopic adhesiolysis
4. Hormonal therapy

Correct answer: 2. Laparoscopic cystectomy